Causes of corneal neovascularisation
1. Transplantation rejection
2. Infection
3. Contact lens use
4. All

Correct answer: 4. All

Explanation: C i.e. Contact lens use; B i.e. Infection A i.e. Transplant rejection